Best investigation to establish the diagnosis of endometriosis is:
1. Laparoscopy
2. USG
3. X-ray pelvis
4. CT Scan

Correct answer: 1. Laparoscopy

Explanation: Diagnostic laparoscopy is the gold standard for diagnosing endometriosis.
Typical lesion: Powder burn/Gun shot lesions (black, dark brown, or bluish cysts with old hemorrhage surrounded by variable degree of fibrosis)
Other non-typical findings could be:
• Red implants
• Serous or clear vesicles
• White plaques/scarring
• Yellowish brown discoloration of peritoneum
• Sub ovarian adhesions
• Presence of defects in the peritoneum (usually scarring overlying implants) is called as Allen masters syndrome.
• Histological confirmation of laparoscopic impression is essential for diagnosis of endometriosis.